Von Gierke’s disease is caused due to deficiency of
1. Glucose-6-phosphatase
2. Glycogen synthase
3. Lysosomal glucosidase
4. Microsomal Pi transporter

Correct answer: 1. Glucose-6-phosphatase

Explanation: Glycogen Storage Diseases (Glycogenosis)